Enteric fever is caused by ?
1. S typhi
2. S paratyphi A
3. S paratyphi C
4. All of the above

Correct answer: 4. All of the above

Explanation: Ans. is 'd' i.e., All of the above Enteric fever The term enteric fever includes typhoid fever caused by S.typhi and paratyphoid fever caused by S. paratyphi A, B and C. The ability to resist intracellular killing and to multiply with in these cells is a measure of virulence of salmonella. The incubation period for S. typhi ranges from 3 to 21 days. Most prominant symptom of this systemic infection is prolonged fever. (Step-ladder pyrexia). Early physical findings are - Rash (rose spot), Relative bradycardia, Hepatosplenomegaly, Epistaxis. Complications occur in 3rd and 4th weeks - Intestinal perforation and GI hemorrhage are the two most common complications.